Pain and arthritis of distal interphalangeal joint is seen in -
1. Osteoarthritis
2. Rheumatoid Arthritis
3. Ankylosing spondylitis
4. Dequervain's disease

Correct answer: 1. Osteoarthritis

Explanation: Ans. is 'a' i.e., Osteoarthritis JointImportant arthritis involving the jointDistal interphalangeal jointProximal interphalangeal jointMetacarpophalangeal joint1st Carpometacarpal jointWristOsteoarthritis, Psoriatic arthritis, Reactive arthritisOsteoarthritis, RA, SLE, Psoriatic arthritisRA, pseudogout, hemochromatosisOsteoarthritisRA, Pseudogout, gonococcal arthritis, juvenile arthritisSpared jointo Wrist and MTPo DIPOsteoarthritisRA